Treatment of Neurocysticercosis includes following, except:
1. Albendazole
2. Ivermectin
3. Praziquentel
4. Surgery

Correct answer: 2. Ivermectin

Explanation: Ivermectin